Karyotyping of fetus can be done through all the following invasive methods except:
1. Amniocentesis
2. Cordocentesis
3. Chorionic villi sampling
4. Fetal skin biopsy

Correct answer: 4. Fetal skin biopsy

Explanation: Fetal karyotyping can be done by Chorionic villi sampling Cordocentesis Amniocentesis Fetal skin biopsy is done to detect any chromosomal anomaly. It is done between 17-20 weeks to detect serious skin disorders like epidermolysis bullosa,oculocutaneous albinism. Ref: Williams Obs 23e pg 299-301.